Persistent anovulation not treated leads to all except :
1. Hirsutism
2. Ovarian Carcinoma
3. Endometrial Carcinoma
4. Increased risk of CVS disease

Correct answer: 2. Ovarian Carcinoma

Explanation: Ans. is b i.e. Ovarian carcinoma Clinical Consequences of Persistent Anovulation Infeilitydeg Menstrual bleeding problems ranging from amenorrhea to irregular, heavy bleedingdeg (DUB). Most common menstrual disorder associated with anovulation is oligomenorrhea.deg Hirsutismdeg, Alopeciadeg and Acne. Increased risk of Endometrial cancerdeg and perhaps, Breast cancerdeg. Increased risk of Cardiovascular diseasedeg. Increased risk of Diabetes mellitusdeg in patients with insulin resistance. Extra Edge : Recommended investigations in case of anovulatory hyperandrogenic women (to exclude specific causes and problems). 1. Thyroid stimulating hormone 4. Screen for cushing disease 2. Prolactin 5. Endometrial biopsy 3. Lipid and Lipoprotein profile 6. Glucose tolerance 7. Body mass Index. In the presence of clinical signs of excess androgen stimulation - Two tests which should be done are : Total testosterone levels 17 - hydroxy progesterone morning and fasting.